In ECG lead II, III, and aVF are abnormal. Which of the following vessel is blocked?
1. Left coronary artery
2. Left anterior descending
3. Right coronary artery
4. Right circumflex artery

Correct answer: 3. Right coronary artery

Explanation: Leads II, III, and aVF detect Inferior wall ischemia. Inferior wall of heart is formed mainly by the major part of right ventricle and left ventricles separated by the posterior interventricular groove, which is mainly supplied by the right coronary artery. Any block in RCA results in inferior wall and posterior 1/3rd of interventricular septum MI.